Linitis plastica is commonly seen in ?
1. Ca. stomach
2. Sarcoidosis
3. Lymphoma
4. L,eiomyosarcoma

Correct answer: 1. Ca. stomach

Explanation: Ans. is 'a' i.e., Ca. stomach